Which of the following is the predominant flora of the mouth?
1. Streptococcus mutans
2. Lactobacillus
3. Staphylococcus epidermidis
4. E.coli

Correct answer: 1. Streptococcus mutans

Explanation: The eruption of teeth at 6 to 9 months of age leads to colonization by organisms such as Streptococcus mutans and S. sanguis, both a-hemolytic streptococci. An edentulous person loses a-hemolytic streptococci as normal flora. The predominant bacteria on the skin surface are S. epidermidis and Propionibacterium, an anaerobic diphtheroid.